All are true regarding bleaching powder, except –
1. Contains about 33% of available chlorine
2. It is a stable compound
3. White amorphous compound
4. Strong bleaching agent

Correct answer: 2. It is a stable compound

Explanation: Bleaching powder : -

Bleaching powder is also known as chlorinated lime.
It is a disinfectant mainly used for disinfecting


Water
Faeces
Urine



It kills most of the organism when used in strength of 1 to 3%
The chief drawback of bleaching powder is that it is an unstable compound and loses its chlorine content on storage.
Its action is rapid and brief
A good sample of bleaching powder contains 33% of "available chlorine".
It is a white amorphous powder with a pungen smell of chlorine.
When mixed with excess of lime it retains its strength, this is called stabilized bleach.
Bleaching powder should be stored in a cool dry place.